Maximum absorption of short chain fatty acids produced by bacteria occurs in the
1. Colon
2. Duodenum
3. Jejunum
4. Ileum

Correct answer: 1. Colon

Explanation: A. (Colon) (475. Ganong 22nd) / (458 - Ganong 23rd)Short-chain Fatty Acids in the colon (SCFAs) are produced in the colon and absorbed from it *** ** Absorption of long chain FA is greatest in the upper parts of the small intestine* Average normal concentration of about 80 mmol/ L in the lumen* About 60% of this total is acetate, 25% propionate, and 15% butyrate.* They exert a trophic effect on the colonic epithelial cells, combat inflammation, and are absorbed in part by exchange for H+, helping to maintain acid -base equilibrium.* Also promote the absorption of Na+* Cholesterol, like the short chain fatty acids is absorbed directly into lymphatics and reconverted (esterified) therefrom as cholesterol esters. Its absorption requires presence of bile, fatty acids and pancreatic juice. It is mainly absorbed from the distal small intestine (276- A. K. Jain 3rd)